The only medial branch of external carotid artery is -,
1. Lingual
2. Maxillary
3. Superior thyroid
4. Ascending pharyngeal

Correct answer: 4. Ascending pharyngeal

Explanation: Only branch arises from medial side of ECA is ascending pharyngeal artery.